Type of collagen forming basement membrane of kidney
1. I
2. II
3. III
4. IV

Correct answer: 4. IV

Explanation: Type IV collagen is abnormal, so basement membrane of kidney glomerular apparatus is abnormal. Hence, hematuria is seen, which will eventually progress to kidney failure.Ref: DM Vasudevan, page no: 583